Truss cannot prevent progression of which type of inguinal hernia -
1. Sliding
2. Littres
3. Indirect
4. Direct

Correct answer: 1. Sliding